Maroteaux Lamy syndrome characterized by deficiency of
1. Beta Galactosidase
2. Beta Glucuronidase
3. Arylsulfatase B
4. Iduronate sulfatase

Correct answer: 3. Arylsulfatase B

Explanation: Maroteaux-Lamy syndrome is mucopolysaccharidosis type VI, caused due to deficiency of N-acetylgalactosamine (arylsulphatase B).